Which group of streptococcus grow at > 60 o C
1. A
2. B
3. C
4. D

Correct answer: 4. D

Explanation: GROUP D streptococci grow at 10 degrees C and 45 degrees C, survive at 60 degrees C for 1 hour. generally susceptible to penicillin and are inhibited by 6.5% sodium chloride or bile. They may cause urinary infection or endocarditis. Reference: Textbook of Microbiology; Anathanarayan and panicker's; 10th edition: Pg:220